Drugs that can enhance action of sulfonylurea include the following, except:
1. Salicylates
2. Diazoxide
3. Propranolol
4. Cimetidine

Correct answer: 2. Diazoxide

Explanation: Drugs that enhance SU action (may precipitate hypoglycaemia) are-
(a) Displace from protein binding: Phenylbutazone, sulfinpyrazone, salicylates, sulfonamides.
(b) Inhibit metabolism/excretion: Cimetidine, ketoconazole, sulfonamides, warfarin, chloramphenicol, acute alcohol intake (also synergises by causing hypoglycaemia).
(c) Synergise with or prolong pharmacodynamic action: Salicylates, propranolol (cardioselective antihypertensives, lithium, theophylline, alcohol (by inhibiting gluconeogenesis).
Minoxidil and diazoxide are K+ channel openers, which were used earlier in severe hypertension and hypertensive  emergencies.
 
Reference: Essentials of Medical Pharmacology Eighth Edition KD  TRIPATHI  page no 296